Renal lesions in Multiple myeloma -
1. Cast nephropathy
2. Amyloid deposition
3. Plasma cell infiltration
4. All

Correct answer: 4. All

Explanation: Ans. is 'a' i.e., Cast nephropathy; 'b' i.e., Amyloid deposition; 'c' i.e., Plasma cell infiltration